Advantage of desmopressin over vasopressin in the treatment of diabetes insipidus is that desmopressin:
1. Causes less formation of factor VIII
2. Causes less hypernatremia
3. Is more selective for V2 receptor subtype
4. Provides greater relief of excessive thirst the patient is experiencing

Correct answer: 3. Is more selective for V2 receptor subtype

Explanation: Desmopressin is selective agonist of V2 receptors of vasopressin. V2 receptors are present in kidney and on endothelium whereas V1 receptors are present in blood vessels. Therefore, -Desmopressin is less likely to cause vasoconstriction than vasopressin. -Desmopressin has similar risk of causing hyponatremia due to retention of water. -Desmopressin can release of factor VIII and vWF similar to vasopressin. -Both desmopressin and vasopressin can provide similar relief of excessive thirst.